The radiological appearance of rickets include all Except
1. Fraying
2. Cupping
3. Splaying
4. Pelkan spur

Correct answer: 4. Pelkan spur

Explanation: Fraying, Cupping and Splaying occur in rickets whereas Pelikan spur is a feature of scurvyImaging findings of rickets:Cupping and fraying of metaphysicsPoorly mineralized epiphyseal centers with delayed appearanceIrregular widened epiphyseal plates (increased osteoid)Increase in distance between the end of shaft and epiphyseal centerCoical spurs projecting at right angles to metaphysicsCoarse trabeculation (not the ground-glass pattern found in scurvy)The periosteal reaction may be presentDeformities(Bowing of long bones, Molding of the epiphysis, Fractures and Frontal bossing) Fraying=widening and irregularity of the growth plate splaying=widening of the metaphyseal end of the bone cupping=concavity of the metaphysis Radiographic features of scurvygeneralized osteopeniacoical thinning: "pencil-point" coexscorbutic rosary: expansion of the costochondral junctionsmay relate to the fracturing of the zone of provisional calcification during normal respirationsimilar to the Frankel's line: dense zone of provisional calcificationTrummerfeld zone: lucent metaphyseal band underlying Frankel's linePelken spur: metaphyseal spurs which result in cupping of the metaphysis(Ref: Grainger and Allison's diagnostic radiology 6th edition, chapter 50)